All of the following discascare caused by EBV except -
1. Nasopharyngeal carcinoma
2. Burkitt's lymphoma
3. Kaposi sarcoma
4. Infectious mononucleosis

Correct answer: 3. Kaposi sarcoma

Explanation: EB virus infection lead to Infectious mononucleosis Burkitt's lymphoma Nasopharyngeal carcinoma in persons of chinese origin Lymphoma in immunodeficient persons such as AIDS. REF:ANATHANARAYAN AND PANIKER'S TEXTBOOK OF MICROBIOLOGY 8TH EDITION PAGE NO:475